Selenium sulfide is indicated for treating -
1. Tinea versicolor
2. Tinea corporis
3. Mixed mycotic infections
4. Candidiasis only

Correct answer: 1. Tinea versicolor

Explanation: Pityriasis versicolor or Tinea versicolor is a superficial infection of the skin caused by Malassezia furfur (Pityrosporum orbiculare). -Drugs for T. versicolor - Topical - Selenium sulfide, salicylic acid, solution containing sulfur, terbinafine cream. Oral - Ketoconazole. Tinea corporis: Oral terbinafine or itraconazole are the drugs of choice for treatment. The antifungal drugs recommended depends upon the type of candidiasis: Cutaneous candidiasis or oral thrush - drug of choice is topical azole Esophageal and vulvovaginal candidiasis - drug of choice is oral fluconazole Disseminated candidiasis - drug of choice is Amphotericin B